Pure opiate antagonists are all of the following except:
1. Naloxone
2. Nalorphine
3. Nalmefene
4. Naltrexone

Correct answer: 2. Nalorphine